In volume-cycled ventilation the inspiratory flow rate is
1. 140-160 L/min
2. 110-130 L/min
3. 60-100 L/min
4. 30-50 L/min

Correct answer: 3. 60-100 L/min

Explanation: C i.e. 60-1001/min The ventilators serve as energy source only during inspiration replacing the muscles of chest wall & diaphragm; expiration is passive driven by the recoil of the lung & chest wall In volume cycled ventilation inspiratory flow rate is usually maintained at 60I/minQ